Diathronol ointment is used for:
1. Pityriasis
2. Pyoderma
3. Psoriasis
4. Herpes zoster

Correct answer: 3. Psoriasis

Explanation: Ans. C: PsoriasisDithranol (cytostatic agent) is used as a topical therapy agent in psoriasis Dithranol/ An thralinIt is a Hydroxyanthrone, anthracene derivativeApplied to the skin of people with psoriasis.It is available as creams, ointment or pastes in 0.1 to 2% strengthsThe terms dithranol and anthralin are sometimes used synonymouslyDithranol accumulates in mitochondria where it interferes with the supply of energy to the cell, probably by the oxidation of dithranol releasing free radicals.This impedes DNA replication and so slows the excessive cell division that occurs in psoriatic plaques. In addition Dithranol may act by reducing the elevated levels of cGMP that occurs in psoriasis.The anti-proliferative effects of anthralin appear to result from both an inhibition of DNA synthesis as well as from its strong reducing properties.Unlike retinoids and PUVA, anthralin does not inhibit liver microsomal enzyme activityConsequently, the likelihood of adverse drug interactions is greatly reduced when other agents are administered concomitantly with anthralin.Dithranol has a slower onset of action in controlling psoriasis, typically several weeks, compared to glucocorticoid steroids, but is without the potential for rebound reaction on withdrawal.It cannot be used on the face or genitalia.It temporarily stains the skin a yellowy-brown and permanently stains clothing fabrics.It may cause a local burning sensation and irritation